Lymphatic drainage of cervix ?
1. Preaortic
2. Paraaortic
3. External iliac
4. Inguinal

Correct answer: 3. External iliac

Explanation: The lymphatics from the cervix drain into the external iliac, internal iliac and sacral nodes.